Below the pectineal line the lymphatic spread is to nodes-
1. Superficial inguinal
2. Internal iliac
3. External iliac
4. Para aortic

Correct answer: 1. Superficial inguinal